The commonest form of DNA variation is:
1. Single nucleotide polymorphism
2. Copy Number Variations (CNVs)
3. Transposons
4. Mutations

Correct answer: 1. Single nucleotide polymorphism

Explanation: SNPs most common polymorphisms. There are 3 million SNPs in the human genome. A single nucleotide at a particular location is variable